ALL L3 morphology is a malignancy arising from which cell lineage?
1. Mature B xell
2. Precursor Bcell
3. Immature T cell
4. Mixed B cell and T cell

Correct answer: 1. Mature B xell

Explanation: Acute lymphoblastic leukemias of the L3 subtype are tumors of Mature B cell ( ref Robbins 7th /677,9th/590)